Winging of scapula is seen due to paralysis of-
1. Serratus anterior
2. Latissimus dorsi
3. pectoralis major
4. Levator scapulae

Correct answer: 1. Serratus anterior

Explanation: Ans. is 'a' i.e., Serratus anterior * Winging of scapula is caused most commonly by serratus anterior palsy.* This is typically caused by damage to long thoracic nerve (nerve to serratus anterior).